Wof skeletal muscles is relaxed first by tubocurarine
1. Respiratory muscles
2. Head and neck muscles
3. Finger muscles
4. Limb muscles

Correct answer: 3. Finger muscles

Explanation: ACTIONS Skeletal muscles:- Intravenous injection of nondepolarizing blockers rapidly produces muscle weakness followed by flaccid paralysis. Small fast response muscles (fingers, extraocular) are affected first; paralysis spreads to hands, feet--arm, leg, neck, face--trunk--intercostal muscles--finally diaphragm: respiration stops. Recovery occurs in the reverse sequence; diaphragmatic contractions resume first. Ref:- kd tripathi; pg num:-350